What is the minimum fluid urine output for neutral solute balance?
1. 300 ml
2. 400 ml
3. 500 ml
4. 750 ml

Correct answer: 3. 500 ml

Explanation: Ans. is 'c' i.e., 500 ml